True statement regarding halothane is – a) Reduces arterial pressureb) Increases heart ratec) Decreases cardiac outputd) Increases sympathoadrenal activity
1. ac
2. bc
3. ad
4. b

Correct answer: 1. ac

Explanation: Halothane decreases BP, HR & CO.
There is no change on systemic vascular resistance.